Allopurinol specifically inhibits :
1. Xanthine oxidase
2. Arginase
3. Carbamoyl transferase
4. Urease

Correct answer: 1. Xanthine oxidase